Trial of labour is contraindicated in all of the following conditions, except :
1. Rachitic pelvis
2. Maipresentation
3. Previous LSCS
4. Multigravida

Correct answer: 4. Multigravida

Explanation: Ans. is d i.e. Multigravida Trial of labour is conduction of spontaneous labour in a moderate degree of cephalopelvic disproportion, under supervision with watchful expectancy, hoping for a vaginal delivery. The phrase 'trial' which was originally used to test for pelvic adequacy is now being used to test numerous factors other than only pelvic capacity . Contraindications of Trial of Labour Midpelvis and outlet contraction (here, Rachitic Pelvis) Associated risk factors like : - Elderly primigravida Previous cesarean pregnancy Malpresentation - Preeclampsia - Post maturity. Associated medical disorders like : - Heart disease - Diabetes. In a setup where facility for cesarean section is not available round the clock. Also Know Trial of labour is indicated in : * Mild CPDdeg